True about Rheumatic fever -
1. Chorea is aggravated during pregnancy
2. Chorea & arthritis co-existing
3. Subcutaneous nodules are tender
4. Erythema multiforme seen

Correct answer: 1. Chorea is aggravated during pregnancy